Pancreatico-duodenectomy is not indicated in:
1. Multiple cyst and calcifications in head of pancreas
2. Narrow pancreatic duct
3. Failed drainage procedure for chronic pancreatitis
4. Possibility of malignancy in head

Correct answer: 2. Narrow pancreatic duct

Explanation: Ans. (b) Narrow Pancreatic ductRef: Blumgart 6th ed; pg. 932The most frequent indications for Pancreatico-duodenectomy in patients with Chronic Pancreatitis:* Head of Pancreas is enlarged with cysts and calcification.* Previous endoscopic procedure or drainage procedure was ineffective.* Possibility of Malignancy in head.V shaped Excision procedure (Izbicki procedure) is done for Small Duct disease <3mm diameter Duct